The following anti ulcer drug DOES NOT act by reducing the secretion of or neutralizing gastric acid:
1. Megaldrate
2. Sucralfate
3. Misoprostol
4. Omeprazole

Correct answer: 2. Sucralfate

Explanation: (Ref: KDT 6/e p636) Megaldrate is an antacid. It acts by neutralizing the gastric acid. Omeprazole and misoprostol derease the secretion of gastrict acid. Sucralfate is an ulcer protective agent. It forms the protective coating over the ulcer base.